FFP not used in -
1. TTP
2. Factor XII deficiency
3. Vitamin K deficiency
4. Antithrombin III deficiency

Correct answer: 2. Factor XII deficiency

Explanation: Ans. is 'b' i.e., Factor XII deficiency Fresh frozen plasma (FFP)o FFP is defined as the fluid portion of human blood that has been centrifuged, separated, and frozen solid at -18degc within 6 hours.o FFP contains stable coagulation factors and plasma proteins : -(i) Fibrinogen(ii) Antithrombin(iii) Albumin & Immunoglobulin(iv) Protein C, S.(v) Factor II, V, VII, IX, X, XIo Indications for the use >>f FFP are : -Deficiencies of factor II, V, VII, IX, X and XI when specific component therapy is neither available nor appropriate.Emergency reversal of warfarin effect.In vit K deficiency as replacement for Vit K dependent factors (II, VII, IX, X)Antitbrombin III deficiencyAfter massive blood transfusion.In immunodeficiency as a source of immunoglobulinTTPNote : Options 'c', is partially correct, FFP can be used for deficiency of factor IX but not for factor VIII.